A man with blunt injury abdomen after road side accident has a blood pressure of 100/80 mm Hg and a pulse rate of 120 bpm. Airway has been established and respiration has been stabilized. Next best step in management is.
1. Immediate Blood Transfusion
2. Blood for cross matching & IV fluids
3. Ventilate the patient
4. Rush the patient to the OT

Correct answer: 2. Blood for cross matching & IV fluids